All of the following can be normally seen in a neonate at birth except?
1. Acrocyanosis
2. Soft systolic murmur
3. Icterus
4. Heart rate between 120-140/min

Correct answer: 3. Icterus

Explanation: Clinical jaundice or icterus detected in a neonate at birth, or within 1st 24 hours of life indicates 'pathological jaundice', so it is not present normally.